Which one of the following therapeutic mode is commonly employed in intra-operative radiotherapy?
1. Electron
2. Photon
3. X-ray
4. Gamma rays

Correct answer: 1. Electron

Explanation: An electron is a negatively charged subatomic particle.
It can be either free (not attached to any atom) or bound to the nucleus of an atom.
Electrons in atoms exist in spherical shells of various radii, representing energy levels.
The larger the spherical shell, the higher the energy contained in the electron.